If a patient has to undergo cect chest prerequisite would be
1. NPO for 6hrs &s. Creatinine normal
2. NPO for 6hrs
3. NPO for 6hrs & LFT normal
4. Blood sugar normal and no dietary restriction

Correct answer: 1. NPO for 6hrs &s. Creatinine normal

Explanation: Answer: (A) NPO FOR 6HRS &S. CREATININE NORMALIn preparation for a CT scan, patients are often asked to avoid food, especially when contrast material is to be used. Contrast material may be injected intravenously, or administered by mouth or by an enema in order to increase the distinction between various organs or areas of the body. Therefore, fluids and food may be restricted for several hours prior to the examination. If the patient has a history of allergy to contrast material (such as iodine), the requesting physician and radiology staff should be notified. All metallic materials and certain clothing around the body are removed because they can interfere with the clarity of the images.Because Contrast material has to be excreted without any metabolism, kidney functions are required to be normalCT scans have vastly improved the ability of doctors to diagnose many diseases earlier in their course and with much less risk than previous methods. Further refinements in CT scan technology continue to evolve which promise even better picture quality and patient safety. CT scans known as ''spiral" or "helical" CT scans can provide more rapid and accurate visualization of internal organs. For example, many trauma centers are using these scans to more rapidly diagnose internal injuries after serious body trauma. High resolution CT scans (HRCT) are used to accurately assess the lungs for inflammation and scarring. CT angiography is a newer technique that allows noninvasive imaging of the coronary arteries. Note that some CT scanners may not be able to accommodate pat ients that weigh over 400 pounds.